Ligation of which nerve will lead to parasthesia and pain on the dorsum of foot during venesections of great saphenous vein -
1. Sural nerve
2. Gen iculate
3. Saphenous nerve
4. Deep peroneal nerve

Correct answer: 3. Saphenous nerve

Explanation: Ans is 'c' ie Saphenous nerve "Sensory nerve injury is seen occasionally after removal of varicose vein. The saphenous nerve and its branches accompany the long saphenous vein in the calf, the sural nerve accompanies the short saphenous vein. Damage to the main part of these nerves occur in about 1 percent of operation, but small areas of anesthesic may occur more frequently (in up to 10% of pts.)." Thus the nerve commonly injured ? - in venesection of great saphenous vein_______ saphenous nerve - in venesection of small saphenous vein__________ sural nerve.